Mc Keon, in nineteenth century studied the decline in the incidence of the infectious diseases like tuberculosis and he explained the co-relation between the decline in the incidence of infectious disease and told that the relation is better understood in terms of -
1. Increased awareness and knowledge
2. Social and economic factors
3. Behavioral interventions
4. Medical interventions

Correct answer: 2. Social and economic factors